In fracture of the olecranon, excision of the proximal fragment is indicated in all of the following situations, EXCEPT:
1. Elderly patient
2. Old ununited fractures
3. Comminuted fracture
4. Fracture extending to coronoid process

Correct answer: 4. Fracture extending to coronoid process

Explanation: Indications of proximal fragment excision in a case of olecranon fracture includes: 1. Comminuted fracture. 2. Delayed union or nonunion of fractures in upper half. 3. Age of patient more than 50years and is not involved in heavy work. This method is useful only if enough of the olecranon is left to form a stable base for the trochlea. Thus, it is not indicated when the comminution extends as far as the coranoid. Ref: Textbook of Orthopedics By John Ebneza, 4th Edition, Pages 163-4